Which one of the following is HLA-associated diabetes mellitus?
1. Type I diabetes mellitus
2. Type II diabetes mellitus
3. Stress related diabetes mellitus
4. Gestational diabetes mellitus

Correct answer: 1. Type I diabetes mellitus

Explanation: Type 1 diabetes mellitus is also called HLA associated diabetes. Type 1 diabetes shows genetic susceptibility. Most important locus is the HLA gene cluster on chromosome 6p21,which according to some estimates contributes as much as 50% of the genetic susceptibility to diabetes. (Ref:ROBBINS Text book of pathology)